In a young female of reproductive age an absolute contraindication for prescribing OCP's is:
1. Diabetes
2. Hypertension
3. Obesity
4. Impaired liver function

Correct answer: 4. Impaired liver function